Post streptococcal glomerulonephritis causes -
1. Nephritic syndrome
2. Primary Nephrotic syndrome
3. Secondary Nephrotic syndrome
4. Chronic renal failure

Correct answer: 1. Nephritic syndrome

Explanation: Ans. is 'a' i.e., Nephritic syndrome Causes of acute nephritic syndrome in children are :1) Primary glomerulonephritis : Acute glumerulonephritis (post-streptococcal), RPGN, MPGN, focal GN and IgA nephropathy2) Systemic diseases : SLE, PAN Wegner's granulomatosis, HSP, cryoglobulinemia.Post streptococcal glomerulonephritiso PSGN appears 1 to 4 weeks after a streptococcal infection of pharynx or skin (impetigo). It is caused by certain nephritogenic serotypes of group A -hemolytic streptococcus (not by all serotypes)o The lesions are caused by immune complex deposition and activation of complement complement level decreaseso It occurs most frequently in children 6 to 10 years of ago Clinically child presents with acute nephritic syndrome :i) Hematuriaii) Oliguric acute renal failureiii) Azotemiaiv) Proteinuriav) Hypertensionvi) Edemao PSGN causes acute renal failure, but not chronic renal failure more than 95% of affected children eventually recover totally with conservative therapy.